Out of 11 births in a hospital, 5 babies weighed over 2.5 kg and 5 weighed less than 2.5 kg. What value dose 2.5 represent -
1. Geometric average
2. Arithmetic average
3. Median average
4. Mode

Correct answer: 3. Median average

Explanation: Ans. is 'c' i.e., Median average Median o Is an average, to obtain it the data is first arranged in an ascending or descending order of magnitude and then the value of the middle observation is located which is called median. o In the question 5 value are below 2.5 and 5 value are above 2.5, so if we arrange the data in increasing or decreasing order 2.5 will represent the middle one and can be taken as median average of given data.